True about genital infection in bacterial vaginosis are all EXCEPT:
1. Clue cells present
2. Gardnerella is the causative agent
3. Pruritis seen
4. Grey and foul smelling discharge

Correct answer: 3. Pruritis seen

Explanation: Ans. C i.e. Pruritis seen Bacterial vaginosis causes minimal vulval irritation Bacterial vaginosis Cause: Multibacterial (Hemophilus vaginalis, Gardenella vaginalis etc.) Clinical presentation: - Milky, Homogenous and - Adherent discharge Vaginal pH: Alkaline (greater than 4.5) Histological feature: Clue cells DOC: Metronidazole